Which of the following does not establish a diagnosis of congenital CMV infection in a neonate?
1. Urine culture for CMV
2. IgG CMV antibodies in blood
3. Intra-nuclear inclusion bodies in hepatocytes
4. CMV viral DNA in blood by polymerase chain reaction

Correct answer: 2. IgG CMV antibodies in blood

Explanation: Active CMV infection is best confirmed by virus isolation from urine, saliva, bronchoalveolar washings, breast milk,cervical secretions,buffy coat,and tissues obtained by biopsy. Rapid identification is possible with PCR.A primary infection is confirmed by seroconversion or simultaneous detection of IgM & IgG antibodies.IgG antibodies persist for life. Reference: Nelson textbook of pediatrics 21st edition Page 1116